Most sensitive and specific test for diagnosis of iron deficiency is
1. Serum iron levels
2. Serum ferritin levels
3. Serum transferrin receptor population
4. Transferrin saturation

Correct answer: 2. Serum ferritin levels

Explanation: Ref Harrison 19 th ed pg 627,628 Under steady-state conditions, the serum ferritin level correlates with total body iron stores; thus, the serum ferritin level is the most convenient laboratory test to estimate iron stores. The normal value for ferritin varies according to the age and gender of the individual